A 36 year old man shows positive Rinne test. His condition is:
1. Wax in ear
2. Chronic suppurative otitis media
3. Otomycosis
4. Normal

Correct answer: 4. Normal

Explanation: The Rinne tuning fork test is sensitive in detecting conductive hearing losses. A Rinne test compares the ability to hear by air conduction with the ability to hear by bone conduction. Normally and in the presence of sensorineural hearing loss, a tone is heard louder by air conduction than by bone conduction. This is the positive Rinne test. A negative Rinne test indicates a minimum air-bone gap of 15-20 dB.